A girl of 10 years will have..... permanent and....... temporary teeth :
1. 8,12
2. 8,16
3. 16,8
4. 12,12

Correct answer: 3. 16,8

Explanation: C i.e. 16, 8